Type of Sacroiliac joints in pelvis are
1. Synovial
2. Primary Cartilagenous
3. Secondary Cartilagenous
4. Fibrous

Correct answer: 1. Synovial

Explanation: The pelvic bones are joined by four articulations (two pairs): Two cartilaginous symphyseal joints: the sacrococcygeal joint and the symphysis pubis. These joints are surrounded by strong ligaments anteriorly and posteriorly, which are responsive to the effect of relaxin and facilitate parturition. Two synovial joints: the sacroiliac joints. These joints are stabilized by the sacroiliac ligaments, the iliolumbar ligament, the lateral lumbosacral ligament, the sacrotuberous ligament, and the sacrospinous ligament.Reference: Berek and Novak's Gynecology; 14th edition; Chapter 5; Anatomy and Embryology